Sulphur granules are seen in -
1. Sulphur poisoning
2. Actinomycosis
3. H2SO4 poisoning
4. Staphylococcal infection

Correct answer: 2. Actinomycosis

Explanation: Ans. is 'b' i.e., Actinomycosis Laboratory diagnosis of actinomycosis* The diagnosis is most commonly made by microscopic identification of sulphur granules (an in-vivo matrix of bacteria calcium phosphate, and host material).* The sulfur granules are bacterial colonies and will be found to consist of a dense network of thin Gram positive filaments, surrounded by a peripheral zone of swollen radiating club shaped structures, presenting a sun ray appearance. The 'clubs' are believed to be antigen - antibody complexes. Colonies resemble a molor tooth.* Granules of actinomyces are yellow colored.* Diagnosis can also be made by isolation of actinomyces in culture. The culture media used are :# Thioglycollate liquid medium# Brain heart infusion agar* In thioglycollate:# A. bovis produces general turbidity# A. israelic grows as fluffy balls at the bottom of the tube.* On solid media :# A. isralii produces small spidery colonies.# A. isralii produces colonies which give a bread crumb appearance.